Bandle ring on uterus suggests
1. Cervical dystocia
2. Cochleate uterus
3. Hypertonic uterus
4. Obstructed labour

Correct answer: 4. Obstructed labour

Explanation: In Tonic Uterine Contraction and Retraction, a circular groove encircling the uterus is formed between the active upper segment and the distended lower segment, called pathological retraction ring (Bandl's ring). Reference: D C Dutta Textbook of Obstetrics 7th edition page 362